"Millary shadow" on chest X-ray is seen in
1. Tuberculosis
2. Rheumatoid Arthritis
3. Pneumoconiosis
4. All

Correct answer: 4. All

Explanation: A i.e. T.B; B i.e. R.A; C i.e. Pneumoconiosis